Bone adjacent to periodontal ligament that contains a great number of sharpey's fibres is known as
1. Lamina dura
2. Bundle bone
3. Lamina propria
4. Lamina densa

Correct answer: 2. Bundle bone